All of the following are causes of pneumoperitoneum except -
1. Perforated peptic ulcer
2. Laproscopic Procedure
3. Perforated Appendix
4. Hirschsprung's Disease

Correct answer: 4. Hirschsprung's Disease

Explanation: Ans. is 'd' i.e., Hirschsprung's Disease o Gas under left hemidiaphragm is due to fundal gas, a normal finding. When gas is present under right hemidiaphragm also it's due to pneumoperitoneum.Causes of Pneumoperitoneum1. Perforation of GI tract# Peptic ulcer# Inflamamtion (diverticulitis, appendicitis, toxic megacolon, necrotizing enterocolitis)# Infarction# Malignant neoplasm# Obstruction# Pneumatosis cystoides rupture# Iatrogenic-endoscopy2. Iatrogenic# Surgery, peritoneal dialysis, drainage catheters, biopsies3. Penetrating abdominal injury.4. Through female genital tracta. Spontaneousb. Iatrogenic# Iatrogenic perforation of uterus or vagina# Culdocentesis# Tubal patency test5. Gas forming peritonitis6. Pneumothorax with pleuroperitoneal fistula